A patient of Meniere's disease has failed all medical treatment but still retains a serviceable hearing. All of the following treatments can be considered except:
1. Endolymphatic sac decompression
2. Intratympanic gentamicin
3. Vestibular nerve section
4. Labyrinthectomy

Correct answer: 4. Labyrinthectomy

Explanation: Since the hearing of the patient is serviceable as present those procedures should be considered which retain the useful hearing such as in (a), (b) and (c). Labyrinthectomy will totally destroy the hearing and is not suitable in this patient.